All the following are true regarding acute anterior uveitis in ankylosing spondylitis EXCEPT –
1. More common in female
2. Recurrent attacks occur
3. Fibrous reaction in anterior chambers
4. Narrowing of joint spaces and sclerosis of the sacroiliac joints

Correct answer: 1. More common in female

Explanation: Ankylosing spondylitis is more common in males.